Which among the following is a feature of denervation of smooth muscle?
1. Atrophy of the muscle.
2. Decrease in no of receptors for neurotransmitters
3. Increased sensitivity to chemical mediators
4. Decreased neurotransmitter release At NMJ

Correct answer: 3. Increased sensitivity to chemical mediators

Explanation: ANSWER: (C) Increased sensitivity to chemical mediatorsREF: Ganong physiology 22nd edition page 111"When the motor Nerve supply to a smooth muscle is cut, the muscle does not atrophy (this is in contrast to skeletal muscle which atrophies on denervation), It becomes hyper responsive to the chemical mediators that normally activate it"